One of the following is nonessential amino acid:
1. Tyrosine
2. Valine
3. Methionine
4. Tryptophan

Correct answer: 1. Tyrosine